Lutein cysts are associated with all except
1. Gestational trophoblastic tumours
2. Clomiphene administration
3. Bilaterality
4. Use of OCP's

Correct answer: 4. Use of OCP's